What is PAIR technique for treatment of hydatid disease of liver -
1. Punchure albendazole irigation regimen
2. Puncture aspiration injection reaspiration technique
3. Praziquantel Albendazole injection reaspiration technique
4. Partial resection of affected organ (liver)

Correct answer: 2. Puncture aspiration injection reaspiration technique

Explanation: Ans. is 'b1 i.e., Puncture aspiration injection reaspirition (PAIR) technique (www.emedicine.medscape.com/article/178648-treatmentM; WHO/CDSCSR/APH/2001.6)o PAIR technique was proposed in 1986 by a Tunisian team.o In this, US guided needle aspiration of cyst is done followed by injection of scolicidal agent and reaspiration after 5 minutes.o Scolicidal agent used is 15% hypertonic saline or 95% alcohol.Indications-Non echoic lesion > 5 cmCysts with daughter cysts and/or detachment of membranesMultiple cystsInfected cystsPregnent women, children > 3 yearsFailure to respond to chemotherapy alonePatients refusing for surgery or relapsing after surgeryContraindications -Non co operative patient'inaccesible or risky location of cystCyst in spine, brain and.;or heartInactive/calcified lesion.Cysts communicating with biliary treeCysts opening into abdominal cavity, bronchi and urinary tract.